The following is a marker of Paget's disease of the mammary gland
1. S-100
2. HMB 45
3. CEA
4. Neuron specific enolase

Correct answer: 3. CEA

Explanation: Ans is 'c' ie CEA Paget's ds is a chronic eczematous disease on the skin of the nipple and the areola , with an associated intraductal carcinoma of the underlying mammary gland. Pathophysiology: The pathogenesis of mammary PD and the origin of Paget cells were once controversial. It is now widely accepted as an underlying intraductal carcinoma of the breast with retrograde extension into the overlying epidermis through mammary duct epithelium. Malignant epithelial (Paget) cells infiltrate and proliferate in the epidermis, causing thickening of the nipple and the areolar skin. Paget cells often express cell markers that mimic those of the underlying breast carcinoma, including glandular epithelial cell markers (ie, low-molecular-weight cytokeratins, or CAM 5.2). They also express tumor markers, including carcinoembryonic antigen (CEA); Ca 15-3 (milk fat globule protein); some oncogenes (TP53, c-erb B-2); and other cell markers, such as epithelial membrane antigen (EMA) and gross cystic disease fluid protein (GCDFP-15) that are found in tumor cells of ductal carcinoma of the breast.